When the pins are used in the cavity for amalgam, the strength of amalgam?
1. Increased
2. Decreased
3. Unchanged
4. May increase or decrease

Correct answer: 2. Decreased